HLA-B27 is associated with
1. Osteoporosis
2. Ank spondylitis
3. Gout
4. Rheumatoid arthritis

Correct answer: 2. Ank spondylitis

Explanation: (Ank.spondyIitis): (1093- Davidson 21st edition)HLA-B 27 is found in 90% of white patients and 50% of black patients with ankylosing spondylitis.Because this antigen occurs in 8% of the healthy white population (and 2% of healthy blacks), it is not a specific diagnostic test.HLA- B 27 is associated with1. Ankylosing spondylitis2. Reiter's syndrome3. Reactive arthritis (Yersinia, salmonella, Shigella, Chlamydia)4. Psoriatic spondylitis5. A cute anterior uveitis Other conditions associated with HLA'sHLA B-8M. gravis HyperthyroidismDW-4/DR4Rheumatoid arthritis. P. vulgarisHLA DR3Glutein sensitive enteropathy Diabetes mellitus type IHLA-B5M. gravis. Chronic active hepatitisHLA-DR2Bechet's syndrome Narcolepsy, Good pasture's syndrome Multiple sclerosis